Microscope used in microbiology -
1. Light microscope
2. Phase contrast microscope
3. Fluoroscent microscope
4. All

Correct answer: 4. All

Explanation: Ans. is 'd' i.e., All Why is it necessary to use microscope in microbiology? The diameter of the smallest object that can be seen by naked ( unaided) eye is about 200U. Most microorganisms are smaller than this and therefore, they should be sufficiently magnified before study. For this purpose various types of microscopes are available. Types of microscopes A) Visible light as source of illumination i) Bright-field microscope, commonly known as light microscope or optical microscope. ii) Dark field microscope iii) Phase contrast microscope B) UV rays as source of illumination - Flouroscence microscope C) Electron beam forms image of specimen - Electron microscope D) Surface forces form image of specimen - Atomic force microscope (AFM)